In thymoma, all are seen except -
1. Hypogamma globulinemia
2. Hyperalbuminemia
3. Red cell aplasia
4. Myaesthenia Gravis

Correct answer: 2. Hyperalbuminemia

Explanation: Thymoma is the most common Anterior mediastinal mass.

Thymomas are seen to be associated with

Myasthenia gravis
Acquired hypogammaglobulinemia
Pure red cell aplasia
Grave's ds
Pernicious anemia
Dennatomyositis-polymyositis
Cushing syndrome